All of the following drugs can cause SLE like syndrome except ?
1. INH
2. Penicillin
3. Hydralazine
4. Sulphonamide

Correct answer: 2. Penicillin